Commonest complication of pancreatic pseudocyst -
1. Rupture
2. Obstruction of GIT
3. Infection
4. Hemorrhage

Correct answer: 3. Infection

Explanation: Other than pain, infection is the most common complication" Other complications are: Obstruction of GIT Hemorrhage Rupture Pseudoaneurysm - splenic artery is most frequently involved. Ref : Maingot's 10/e, p 1929